The ideal temperature of water bath for softening fluid wax is about
1. 51 to 54 degree F
2. 51 to 54 degree C
3. 70 to 75 degree F
4. 70 to 75 degree C

Correct answer: 2. 51 to 54 degree C